ER Positive cases of cancer breast - drug given is
1. Bevacizumab
2. Tamoxifen
3. Cyclophosphamide
4. Adalimumab

Correct answer: 2. Tamoxifen

Explanation: Ans. (b) Tamoxifen(Ref. Sabiston 20th edition 853)* Tamoxifen - ER+ ve Tumors in Premenopausal and Postmenopausal* Aromatose Inhibitors - ER +ve in Postmenopausal women only